All of the following are culture media for fungi except:
1. Sabouraud's agar.
2. Cornmeal agar.
3. Czapek Dox.
4. Thioglycollate medium.

Correct answer: 4. Thioglycollate medium.

Explanation: Sabouraud's agar, cornmeal agar and Czapek-Dox are the commonest culture media used in mycology.